After examining a patient for periodontal problem using Russets index you have a meanscore of 3. It indicates:
1. Established periodontal disease, which is reversible
2. Established periodontal disease that is irreversible
3. Beginning of periodontal disease
4. Terminal periodontal disease

Correct answer: 2. Established periodontal disease that is irreversible